Mosquito net hole diameter is -
1. 0.02 inch
2. 0.0475 inch
3. 0.5 inch
4. 0.1 inch

Correct answer: 2. 0.0475 inch

Explanation: Personal protection against mosquito bite includes a mosquito net, screening, and repellents. Nets provide protection against bite during sleep. The material of the net should be white, for easy detection of mosquitoes. There should not be a single hole or rent in the net. The size of the opening in the net is of utmost importance - size should not exceed 0.0475 inches in diameter. The number of holes in one square inch is 150. REFERENCE: PARK'S TEXTBOOK OF PREVENTIVE AND SOCIAL MEDICINE, 25TH EDITION, PG NO. 833